In inspiration the intrapleural pressure become:
1. More -ve
2. More + ve
3. Same as expiratory level
4. Initially positive then negative

Correct answer: 1. More -ve

Explanation: Ans: A (More negative) The intrapleural pressure at the base of lungs, which is normally about -2.5 mm Hg+ (relative to atmospheric) at the start ofinspiration, decreases to about-6 mm of HgQ"- Ganong 22nd / 651Strong inspiratory efforts can reduce intrapleural pressure to values as low as -30 mm Hg -Ganong22nd/651Fig (Ganong 23rd/592): Pressure in alveoli & the pleural space relative to atmospheric pressure during inspiration & expiration